Urothelium lines all except ?
1. Ureters
2. Minor calyx
3. Urinary bladder
4. Collecting duct

Correct answer: 4. Collecting duct

Explanation: Urothelium lines much of the urinary tract, extending from the ends of the collecting ducts of the kidneys. through renal calyces, pelvis, ureters and bladder to the proximal portion of the urethra. Urothelium or transitional epithelium has the ability to stretch greatly without loosing its integrity. Thus the urinary organs lined by urothelium can undergo considerable distention and contraction.